All of the following are side effects of Escitalopram except
1. Nausea
2. Vivid dreams
3. Anorgasmia
4. Sialorrhoea

Correct answer: 4. Sialorrhoea

Explanation: Escitalopram has anticholinergic action that leads to dry mouth. Hence, option d is false.